Occulomotor nucleus is located in -
1. Forebrain
2. Midbrain
3. Pons
4. Medulla

Correct answer: 2. Midbrain

Explanation: Ans. is 'b' i.e., Midbrain o Cranial nerves I, IIo Cranial nerves III, IVo Cranial nerves V, VI, VII, VIIIo Cranial nerves IX, X, XI, XII----ForebrainMidbrainPonsMedulla